The plane of surgical anesthesia during ether anesthesia is defined as:
1. Loss of consciousness
2. Loss of consciousness to the onset of spontaneous respiration
3. From onset of regular respiration to cessation of spontaneous breathing
4. Absence of reflexes

Correct answer: 3. From onset of regular respiration to cessation of spontaneous breathing

Explanation: Stage of surgical anesthesia extends from onset of regular respiration to cessation of spontaneous breathing. This has been divided into four planes. Loss of consciousness to beginning of regular respiration is stage of delirium. From KD Tripati 7th edition Page no 374